True regarding mitochondrial DNA is:
1. Linear double stranded
2. Inherited from mother
3. Low mutation rate
4. All respiratory proteins are synthesized within mitochondria itself

Correct answer: 2. Inherited from mother

Explanation: The mitochondrial DNA (mtDNA) has structural and functional resemblances with prokaryotic DNA mtDNA is circular in nature and contains about 16,000 nucleotide bases A vast majority of structural and functional proteins of the mitochondria are synthesized in the cvtosol under the influence of nuclear DNA. However, certain proteins (around 13), most of them being the components of electron transport chain, are synthesized in the mitochondria (e.g. cytochrome b of complex lll, two subunits of ATP synthase. mtDNA is inherited from the mother Mitochondrial DNA is subjected to high rate of mutations (about 10 times more than nuclear DNA) Diseases related to mitochondrial DNA MELAS (mitochondrial encephalopathy lactic acidosis stroke like episode) Leber hereditary optic neuropathy Leigh syndrome Kearns sayre syndrome NARP syndrome